All are true except -
1. LKMl - Autoimmune hepatitis
2. LKM2 - Drug induced
3. LKMl - chronic hepatitis C
4. LKM2 - chronic hepatitis D

Correct answer: 4. LKM2 - chronic hepatitis D

Explanation: An anti-LKM antibody (anti-liver-kidney microsomal antibody or LKM antibody) is any of several autoantibodies that are detected in the serum of patients with different types of acute or chronic liver disease. These antibodies are targeted against antigens of the cytochrome P450 system. There are three kinds of anti-LKM antibodies: anti-LKM 1 cytochrome P450 2D6 autoimmune present in hepatitis type II and chronic hepatitis C (10%) anti-LKM 2 cytochrome P450 2C9 present in drug induced hepatitis patients anti-LKM 3 cytochrome P450 1A2 chronic active hepatitis in association with autoimmune polyendocrine syndrome type 1; hepatitis D Ref Davidson edition23rd pg886